Waste water from kitchen is:
1. Sullage
2. Sewage
3. Garbage
4. Kitchen water

Correct answer: 1. Sullage

Explanation: The term "sullage" is applied to waste water which does not contain human excreta, e.g., waste water from kitchens and bathrooms.
Essentials of preventive and community dentistry 
Soben Peter 
5th edition